A female child has recently learned to eat with spoon without spiting, to dress and undress herself with supervision and to understand that she is a girl. These skills are first mastered between the ages of –
1. 2 and 3 years
2. 3 and 4 years
3. 4 and 5 years
4. 5 and 6 years

Correct answer: 1. 2 and 3 years

Explanation: A child learns to feed herself with spoon without spilling its contents by the age of 15 months.
A child can dress or undress herself completely by the age of 3 years.
A child knows his gender by the age of 3 years.

So, the given milestones develop between the age of 15 months and 3 years.
Amongst the given options best answer is 'a' i.e., 2 and 3 years.